ASLO Titres are used in the diagnosis of -
1. Acute rheumatoid arthritis
2. Acute rheumatic fever
3. Ankylosing spondylitis
4. Osteoarthritis

Correct answer: 2. Acute rheumatic fever